Rapid increase in the size of an osteochondroma might occur when -
1. Malignant transformation
2. Bursitis
3. Rupture of the stalk
4. Dystrophic calcification

Correct answer: 1. Malignant transformation

Explanation: Ans. is 'a' i.e., Malignant transformation Rapid increase in the size of an osteochondroma s suggeative of malignant transformationComplications of osteochondromao Fractureo Malignant transformationo Angular deformityo Growth arresto Neurovascular compromise